When considering the axilla, which of the following statements is accurate?
1. Pectoralis major and minor contribute to the anterior wall.
2. The long thoracic nerve runs on the posterior wall.
3. Teres minor forms the lower part of the posterior wall.
4. The axillary artery lies anterior to the axillary sheath.

Correct answer: 1. Pectoralis major and minor contribute to the anterior wall.

Explanation: a. The anterior wall of the axilla is formed by pectoralis major and minor, subclavius and the clavipectoral fascia. Explanationsb. The long thoracic nerve runs superficial to serratus anterior on the medial wall. c. The posterior wall consists of subscapularis, teres major and latissimus dorsi. d. The axillary artery runs within the axillary sheath, together with the cords of the brachial plexus.